Best indicator of growth monitoring in children -
1. Weight
2. Mid-arm circumference
3. Rate of increase in height & weight
4. Head circumference

Correct answer: 3. Rate of increase in height & weight

Explanation: Ans. is 'c' i.e. Rate of increase in height & weight * Midarm circumference, Body weight and chest circumference are one time point estimates therefore they are not adequate to provide information about long term nutritional stats of the child.' A measurement which shows the time trends like rate of increase in height or weight with passage of time would be more useful.The growth charts demonstrate progressive change in the height and weight of child as age advances therefore they are the best indicator of long term nutritional status."The growth chart has been described as passport to child health care. It has won international recognition and is now a standard method of monitoring children's health and nutritional status".Uses of growth chartFor growth monitoringDiagnostic tool for identifying "high risk" childrenPlanning and policy makingEducation toolTool for actionEvaluationTool for teaching